Indicator of air pollution are:
1. Sulphur dioxide, lead, particulate matter
2. Carbon dioxide, hydrogen sulphide, lead
3. Sulphur dioxide, hydrogen sulphide, carbon monoxide
4. Sulphur dioxide, smoke, particulate matter

Correct answer: 4. Sulphur dioxide, smoke, particulate matter

Explanation: The best indicators of air pollution aresulphur dioxide, smoke and suspended particles. These are monitored on a daily basis over several sites, results often collected by a central agency. Air pollution indicators are- CO2, CO SO2, NO2 Air pollution index Soiling index Coefficient of haze Suspended particulate matter